Fir tree pattern lesion is seen in
1. Psoriasis
2. Pityriasis rosacea
3. Pityriasis versicolor
4. Pemphigoid

Correct answer: 2. Pityriasis rosacea

Explanation: Fir tree pattern of distribution of lesions is characteristic of pityriasis rosea also called Christmas tree pattern. This typical pattern occur due to long axis of lesions developing along the tension lines running parallel to ribs on the trunk. Psoriasis lesions are distributed over the extensor aspects of body pityriasis versicolor lesions are distributed over the seborrheic areas as the malassezia yeast is lipophilic. pemphigoid lesions are mainly distributed over trunk and extremities. iadvl textbook of dermatology page 376